Most common cause of death in ADPKD
1. Renal failure
2. Ruptured berry aneurysm
3. Cardiovascular disease
4. Sepsis

Correct answer: 3. Cardiovascular disease

Explanation: Hypertensive or coronary artery disease is the most common cause of death in ADPKD.